Plaque is transmitted by:
1. Flea
2. Soft tick
3. Mites
4. Hard tick

Correct answer: 1. Flea

Explanation: Ans. A: Flea Plague is a zoonotic disease circulating mainly among small animals and their fleas. The bacteria Yersinia pestis can also infect humans. It is transmitted between animals and humans by the bite of infected fleas, direct contact, inhalation and rarely, ingestion of infective materials. Infected persons usually start with "flu-like" symptoms after an incubation period of 3-7 days. Patients typically experience the sudden onset of fever, chills, head and body-aches and weakness, vomiting and nausea. Clinical plague infection manifests itself in three forms depending on the route of infection: bubonic, septicaemic and pneumonic. Bubonic form is the most common form of plague resulting from the bite of an infective flea. Plague bacillus enters the skin from the site of the bite and travels through the lymphatic system to the nearest lymph node. The lymph node then becomes inflamed because the plague bacteria, Yersinia pestis or Y. pestis, will replicate here in high numbers. The swollen lymph node is called a "bubo" which is very painful and can become suppurated as an open sore in advanced stage of infection; Septicaemic form of plague occurs when infection spreads directly through the bloodstream without evidence of a "bubo". More commonly advanced stages of bubonic plague will result in the presence of Y. pestis in the blood. Septicaemic plague may result from flea bites and from direct contact with infective materials through cracks in the skin. Pneumonic form of plague is the most virulent and least common form of plague. Typically, pneumonic form is due to a secondary spread from advanced infection of an initial bubonic form. Primary pneumonic plague results from inhalation of aerosolized infective droplets and can be transmitted from human to human without involvement of fleas or animals.